What is the typical age of occurence  of febrile seizures in children
1. 1 year - 5 years
2. 6 months - 60 months
3. 1 year - 50 months
4. 5 months - 60 months

Correct answer: 2. 6 months - 60 months

Explanation: Typical age group of occurence of febrile seizures in children in 6 months - 60 months.